First spinal anaesthesia was given by -
1. August Bier
2. Sicard
3. Morton
4. Corning

Correct answer: 1. August Bier